TRUE about folic acid and vitamin B12 is all, except-
1. Both are required for DNA synthesis
2. Recommended daily allowances for Folic acid is 1000 micro grams
3. Vegetarians have vitamin B 12 deficit
4. Deficiency of both causes megaloblastic anaemia

Correct answer: 2. Recommended daily allowances for Folic acid is 1000 micro grams

Explanation: Ans. is 'b' i.e., Recommended daily allowances for Folic acid is 1000 micro grams